One of the following is a zoonotic disease
1. Anthrax
2. Typhoid
3. Bacillary dysentery
4. Cholera

Correct answer: 1. Anthrax